Which of the following is given in the form of an intralesional injection to treat keloid?
1. Heparin
2. Triamcinolone
3. Danazole
4. Hydrocortisone

Correct answer: 2. Triamcinolone

Explanation: The long acting steroid Triamcinalone is used for treating keloid. Other treatment modalities include laser, silicone sheets, cryotherapy, interferon, fluorouracil, radiation.